Regarding Addisonian pigmentation, all are true EXCEPT :
1. Involves moles and scars
2. Involves palmer creases
3. Does not involve oral mucosa
4. Decreased fibrosis

Correct answer: 3. Does not involve oral mucosa

Explanation: Answer is C (Does not involve oral mucosa) : Pigmentation in Addison's disease In Addison's disease pigmentation appears as a diffuse brown, tan, or bronze darkening of skin This increased pigmentation is diffuse but may be accentuated in the Palmer crease Sites of friction & pressure areas - knuckles, elbows, knees, nail beds - belt brassier line, buttocks Scars Oral mucosa, gums & conjunctival Areolae of nipples